A patient with femoral hernia can be managed by:
1. Bassini repair
2. Hunters repair
3. Shouldice repair
4. McVAY repair

Correct answer: 4. McVAY repair

Explanation: McVAY repair closes the femoral space is effective for femoral hernia where the use of prosthetic material is contraindicated.